Cavernous sinus thrombosis can occur due to spread of odontogenic infection via:
1. Tissue spaces
2. Lymphatic route
3. Hematogenous route
4. All of the above

Correct answer: 3. Hematogenous route